Which virus is noted for genetic reassortment?
1. Adenovirus
2. Herpesvirus
3. HIV
4. Influenza virus

Correct answer: 4. Influenza virus